Oseltamivir acts by inhibition which viral enzyme-
1. Neuraminidase
2. Dismutase
3. Lyase
4. Endonuclease

Correct answer: 1. Neuraminidase

Explanation: Ans. is 'a' i.e., Neuraminidase * Oseltamivir acts by inhibiting influenza virus neuraminidase enzyme which is needed for release of progeny virions from the infected cell. Spread of the virus in the body is thus checked.